Which artery is formed by joining of 2 vertebral arteries?
1. Basal artery
2. Middle cerebralartery
3. Posterior cerebral artery
4. Basilar artery

Correct answer: 4. Basilar artery

Explanation: Basilar artery is formed by the union of two vertebral arteries at the lower border of pons. Middle cerebral artery is a branch of internal carotid artery. Posterior cerebral artery is a branch of basilar artery. (Ref: Vishram Singh textbook of clinical neuroanatomy, second edition pg-174,176)